Froin syndrome is associated with?
1. Spinal meningitis
2. Coagulation of CSF
3. High protein level
4. All of the above

Correct answer: 4. All of the above

Explanation: Ans is 'd' i.e. All of the above Froin's syndrome* Caused by meningeal irritation (e.g. During spinal meningitis) and CSF flow blockage by tumour mass or abscess.* Characterized by coexistence of xanthochromia, high protein level and marked coagulation of CSF.